What is the most common histological type of nephritis seen in systemic lupus erythematosus (SLE) -
1. Mesangial
2. Focal proliferative
3. Diffuse proliferative
4. Membranous

Correct answer: 3. Diffuse proliferative

Explanation: Ans. is 'c' i.e., Diffuse proliferative